Which one of the following undergoes predominantly endochondrial ossification?
1. Maxilla
2. Palate
3. Cranial base
4. Cranial vault

Correct answer: 3. Cranial base